Type of immunity conferred on an individual by vaccination is -
1. Artificial active
2. Artificial passive
3. Natural active
4. Natural passive

Correct answer: 1. Artificial active

Explanation: Artificially acquired active immunity can be induced by a vaccine, a substance that contains antigen. A vaccine stimulates a primary response against the antigen without causing symptoms of the disease Ref: Ananthanarayan & Panikers textbook of microbiology 9th edition pg:83